Which of the following is most commonly affected lymph nodes in Hodgkin's Lymphoma
1. Mediastinal Lymph Nodes
2. Submandibular lymph Nodes
3. Cervical Lymph Nodes
4. Inguinal Lymph Nodes

Correct answer: 3. Cervical Lymph Nodes

Explanation: Cervical Lymph Nodes are most commonly affected in Hodgkin's Lymphoma.